Painful ulcers over genitalia seen in:
1. Primary syphilis
2. Granuloma inguinale
3. Chancroid
4. Lymphogranuloma venerum

Correct answer: 3. Chancroid

Explanation: Chancroid or soft chancre Painful ulcer on penis caused by Haemophilus ducreyii . Irregular edges, undermined ulcers, bleeds easily. Painful , suppurative,unilateral inguinal lymphadenitis(bubo) : classical feature Kissing ulcers- Due to autoinoculation on the genitalia. Hard chancre painless genital ulcer most commonly formed during primary syphilis. forms approximately 21 days after the initial exposure to T.pallidum.